17D vaccine is used for the prevention and control of -
1. Yellow fever
2. Japanese encephalitis
3. Hemorrhagic fever
4. Dengue

Correct answer: 1. Yellow fever

Explanation: 17 D vaccine is used for the prevcntio and control of urban yellow fever.It is a live atteunated vaccine prepared from a non virulent strain, which is grown in chick embryo and subsequently freeze dried Reference; Park's Textbook of preventive and social medicine, 24th edition.Pg no. 300